The 585-nm pulsed dye laser is an effective Rx for following except:
1. Icthyosis
2. Vascular lesions
3. keloidal scars
4. Molluscum contagiosum

Correct answer: 1. Icthyosis

Explanation: The 585-nm pulsed dye laser is an effective treatment for: Molluscum contagiosum. Keloidal scars. Vascular lesions Treatment of Icthyosis: Topical emmolients Systemic steroids